Pavlov's experiment is an example of -
1. Operant conditioning
2. Classical conditioning
3. Learned helplessness
4. Modeling

Correct answer: 2. Classical conditioning

Explanation: Ans. is 'b' i.e., Classical conditioning Classical conditioningo In classical conditioning, the conditioned stimulus (which usually does not produce the response), when paired with unconditioned stimulus (stimulus which usually produces a response), directly produces a response.o The typical example of classical conditioning is pavlov's experiment. Normally food produces salivation in dog, Therefore salivation in response to food is called unconditioned response and the stimulus, i.e., food is called unconditioned stimulus. Under normal circumstances, a dog does not salivate at the sound of a bell. However, if the sound of bell is paired consistently with presentation of food, the dog begans to salivate to the sound of bell even if the food is not presented. This learned response, i.e., salivation to a sound of bell without food, is called conditioned response and the stimulus (sound of a bell) is called conditioned stimulus.o There is a reverse side to classical conditioning, called counter conditioning. This amounts to reducing the intensity of conditioned response (e.g., anxiety) by establishing an incompatible response (e.g., relaxation) to a conditioned stimulus (i.e., snake). So anxiety symptoms can be reduced when the stimuli to anxiety are presented in graded order and systemically paired with a relaxation response. This process of reciprocal inhibition is called systemic desensitization.o Other behavioral therapies based on classical conditioning principle (counter conditioning) are exposure with response prevention and aversion therapy.